Decreased protein lipid ratio seen in:
1. Inner mitochondrial membrane
2. Outer mitochondrial membrane
3. Sarcoplasmic reticulum
4. Myelin sheath membrane

Correct answer: 4. Myelin sheath membrane

Explanation: Nerve cell membrane with myelin sheath are rich in lipid ,about 80%